In a study, group of smokers followed up for 10 years to find incidence of a cancer. What type of study design is this?
1. Retrospective cohort
2. Prospective cohort
3. Case control study
4. Randomized control trials

Correct answer: 2. Prospective cohort

Explanation: Types of cohort study: 1. Prospective/Concurrent Cohort Begin in present and continue to future Outcome has not yet occurred at the time the investigation begins 2. Retrospective/Historical cohort Outcomes have occurred before start of investigation Investigator goes back in time to select study groups from existing records of past employment , up to the present 3. Ambidirectional/mixed cohort Combination of retrospective and prospective cohort studies